Small platelets on peripheral smear examination is seen in
1. Von willebrand disease 2B
2. Gray platelet syndrome
3. Bernard soulier syndrome
4. Wiskott Aldrich syndrome

Correct answer: 4. Wiskott Aldrich syndrome

Explanation: Small platelets  - wiskott Aldrich syndrome.
Giant platelets - Bernard soulier syndrome.